Which of the following is used in the management of prolcatinoma:
1. Reserpine
2. Methyldopa
3. Bromocriptine
4. Metoclopramide

Correct answer: 3. Bromocriptine

Explanation: Ans. C: Bromocriptine Dopamine agonists are the first line therapy for majority of the patients of prolcatinoma. Ergot derived dopamine agonists are preferred